The disadvantage of Marshall marchetti Krantz procedure compared with other surgical alternatives for treatment of stress urinary incontinence includes?
1. Urinary retention
2. Increased incidence of urinary tract infections
3. High failure rate
4. Osteitis pubis

Correct answer: 4. Osteitis pubis

Explanation: Marshall-Marchetti-Krantz (MMK) procedure, involves the attachment of the periurethral tissue to the symphysis pubuis. In approximately, 3% of patients undergoing the procedure, osteitis pubis develops.